Which of the following indicates activity of anst uveitis -
1. Cells in anterior chamber
2. Circumcorneal congestion
3. Keratic precipitate
4. Corneal edema

Correct answer: 1. Cells in anterior chamber

Explanation: Activity of acute anterior uveitis is indicated by presence of cells (aquous cells) and flare in anterior chamber -Grading is done on these two. Ref: Khurana 7th/e p.158 & 4th/e p.143.